Most common endocrine disorder of reproductive aged women is
1. Hypothyroidism
2. Polycystic ovarian syndrome
3. Type-2 Diabetes mellitus
4. Congenital adrenal hyperplasia

Correct answer: 2. Polycystic ovarian syndrome

Explanation: PCOD is most common endocrine disorder in reproductive age woman.